Not true statement regarding galactosemic cataract:
1. Irreversible
2. Due to deficiency of galactose-1-phosphate uridyl transferase
3. Oil droplet cataract is seen
4. Avoid milk products to the child

Correct answer: 1. Irreversible

Explanation: Cataract due to galactosemia is reversible. Features of Galactosemic cataract Reversible Can develop into mature cataract Due to deficiency of GALT (galactose-1-phosphate uridyl transferase) Oil droplet cataract Avoid milk products to the child. OIL DROPLET CATARACT